Maximal permissible hours of work per person per week (including the overtime) under the Factory Act 1976, should not exceed_______?
1. 42 hours
2. 48 hours
3. 56 hours
4. 60 hours

Correct answer: 4. 60 hours

Explanation: Ans. d (60 hrs ) (Ref. Park Textbook of PSM 22nd/pg. 759) Answer is d). because the question includes overtime, so 60 hours/week. If including overtime was not mentioned then it should be 48 hours/week. With 9 hours/day with rest for at least Vz hour after continuous 5 hours. "......But the option in exam was 60 yrs....... certainly a misprint....we consider option as 60 hrs....so ans. is d........" FACTORY ACT- 1948: # Applicable to whole India except Jammu & Kashmir. # Scope - establishment >10 workers where power is used and > 20 where power is not used. # Minimum 500 cu.ft of space for each worker. Factories before 1948 minimum 350 cu.ft. # Prohibit employment <14 years. 15 to 18 are called adolescents; they should be dully certified by certifying surgeon. They are allowed to work only between 6 am to 7 pm. # Hours of work - max 48 hours/week. Including overtime 60 hours/week. # Leave with wage - after 12 months of continuous service- adult 1 day for 20 days of work, children 1 day for 15 days. Maximum accumulated leave - adult 30 days. Children 40 days. # Notifiable diseases - byssinosis, asbestosis, occupational dermatitis, and noise-induced hearing loss. # Officers - safety officer- > 1000 workers, welfare officer- >500 workers, canteen > 250 workers # Creches - > 30 female workers.